All are true regarding pneumococci except:
1. Bile soluble
2. Produce draughtsman like appearance on blood agar
3. Ferments inulin
4. 2 ethyl hydrocuprine resistant

Correct answer: 4. 2 ethyl hydrocuprine resistant

Explanation: Optochin is also called 2 ethyl hydro cuprine. pneumococci is optochin sensitive.